Immediate energy supply for muscle contraction ?
1. GTP
2. ATP
3. Creatine phosphate
4. Fatty acid

Correct answer: 2. ATP

Explanation: Ans. is 'B' i.e.,ATP Source of energy for muscular activity The immediate source of energy for all muscle contraction is ATP, followed immediately by creatine phosphate. In sternous exercise ATP store is sufficient only for 1-2 seconds and creatine phosphate for another 5-7 seconds. Thus, energy rich phosphagen stores (ATP and creatine phosphate) permit severe muscle contraction for 8-10 seconds only. After this, energy is obtained from the metabolism of stored glycogen or from circulating glucose and free fatty acids, depending upon the availability of oxygen. Energy source during in exercise can be summarized by : ? Short burst of intense activity (e.g., 100 meter sprint or weight lifting) : - All energy comes from ATP and creatine phosphate. Breakdown of these compound is an anaerobic processes. Little longer intense exercise (e.g., 200 meter sprint or 100 meter swim) :- Besides ATP and creatine phosphate, glycogen is metabolised by anerobic glycolytic pathways to provide a ready source of energy. So, muscle work is anaerobic. Longer duration exercise (e.g., jogging, marathan run) : - The muscle work is aerobic and energy comes from aerobic utilization ofglucose and free fatty acids. More glucose is utilized at the initial stage, but as the exercise is prolonged, free fatty acids become the predominant fuel.